Most common variety of diphtheria is:
1. Nasal
2. Laryngeal
3. Faucial
4. Otitic

Correct answer: 3. Faucial

Explanation: Ans: c (Faucial) Ref: Ananthanarayan, 7th ed, p. 234Types of diphtheria are: NasalLaryngealFaucialOtiticConjunctivalGenitalCutaneousMost common variety is faucialMost dangerous variety is laryngeal